Iopanoic acid is used in -
1. Myelography
2. Bronchography
3. Hysterosalpingography
4. Cholecystography

Correct answer: 4. Cholecystography

Explanation: Iopanoic acid : iodine containing contrast agent Hepatic excretion potent inhibitor of thyroid hormone release and also peripheral conversion. used in cholecystography and also in hyperthyroidism as adjuvant therapy